Which of the following is NOT associated with stabbing injury:
1. Point wound
2. Puncture wound
3. Perforation
4. Chopping

Correct answer: 4. Chopping

Explanation: Ans. (d) ChoppingRef: The essentials of FSM by KS Narayan Reddy 31st ed. /182-83* Stab wound is produced when force is delivered along long axis of narrow or a pointed object, such as knife, dagger, sword, chisel, screw driver etc into the depth of the body.* It can present as point wound, puncture wound or perforation.* Chop wound/slash wound are deep gaping wound caused by a blow with the sharp cutting edge with a heavy weapon like axe, sword, chopper or meat cleaver.